All muscles of the pharynx are supplied by pharyngeal plexus, EXCEPT?
1. Inferior constrictors
2. Salpingopharyngeus
3. Stylopharyngeus
4. None of the above

Correct answer: 3. Stylopharyngeus

Explanation: With the exception of stylopharyngeus, which is supplied by the glossopharyngeal nerve, the muscles are supplied by the cranial part of the accessory nerve the pharyngeal plexus.